Eutectic mixture of 2.5% lidocaine and 2.5% prilocaine is primarily used in:
1. Gasserian ganglion block
2. Gow gates inferior alveolar nerve block
3. Topical skin application
4. Spinal anesthesia

Correct answer: 3. Topical skin application